Difference between typical cervical & thoracic vertebra
1. Has a triangular body
2. Has a foramen transversarium
3. Superior articular facet directed backwards & upwards
4. Has a large vertebral body

Correct answer: 2. Has a foramen transversarium

Explanation: CERVICAL VERTEBRAE They are identified by the presence of foramen transversaria.There are seven cervical vertebrae,out of which the third to sixth are typical,while the first,second and seventh are atypical. Typical cervical vertebra Body 1.The body is small and broader from side to side than from before backwards. 2.The superior surface is concave transversely with upward projecting lips on each side. 3.The inferior surface is saddle shaped,being convex from side to side and concave from before backwards. 4.The anterior and posterior surfaces resemble that of other vertebrae. Vertebral Foramen It is larger than the body.It is triangular in shape because the pedicles are directed backwards and laterally. Vertebral Arch 1.The pedicles are directed backwards and laterally. 2.The laminae are relatively long and narrow,being thinner above than below. 3.The superior and inferior articular processes form articular pillars which project laterally at the junction of pedicle and the lamina. 4.The transverse processes are pierced by foramina transversaria. REF.BD CHAURASIA'S HUMAN ANATOMY,FIFTH EDITION,VOL 3.PAGE NO 40